Stem and leaf plot is a variant of:
1. Histogram
2. Polygon
3. Pie diagram
4. None of the above

Correct answer: 1. Histogram

Explanation: A variant of histogram is stem and leaf plot. The shape is similar to histogram except the representation is horizontal rather than vertical. Ref: Medical biostatistics, 1st edition pg: 133